Dehydration increases the plasma concentration of all the following hormones EXCEPT
1. Vasopressin
2. Aldosterone
3. Angiotensin II
4. Atrial natriuretic peptide

Correct answer: 4. Atrial natriuretic peptide

Explanation: D. i.e. (Atrial natriuretic peptide) (729- 30- Ganong 22nd) (669-70- Ganong 23rd)DEHYDRATION - loss of water from the body causes moderate decrease in ECF volume* When ECF volume is decreased, BP falls, Glomerular capillary pressure declines and the GFR therefore falls reducing the amount of Na+ filtered. Tubular reabsorption of Na+ is amount, in part because the secretion of aldosterone is increased.* Na++ excretion is decreased within a few minute and this rapid change in Na+ excretion occurs in adrenalectomiced subject. It is probably due to hemodynamic changes an possibly to decreased ANP secretion.